Circumvallate papillae are present:
1. Behind sulcus terminalis
2. Front of sulcus terminalis
3. Anterior 2/3 of tongue
4. Lateral border of tongue

Correct answer: 2. Front of sulcus terminalis